In the grading of trachoma,trachomatous inflammations follicular is defined as the presence of
1. 5 or more follicles in the lower tarsal conjunctiva
2. Three or more molecules in the lower tarsal conjunctiva
3. Five or more follicles in upper tarsal conjunctiva
4. Three or more follicles in upper tarsal conjunctiva

Correct answer: 3. Five or more follicles in upper tarsal conjunctiva

Explanation: The pneumonic is FIST-O Refer: Khurana 6th edition page number 65